Aromatase produces estrogen from
1. Progesterone
2. Cortisol
3. Aldosterone
4. Androgen

Correct answer: 4. Androgen

Explanation: Oestrogen is produced from androgen by an enzyme aromatase Ref: guyton and hall textbook of medical physiology 12 edition page number:630,631,632